The drug NOT used for analgesia in a head injury patient is:
1. Morphine
2. NSAIDS
3. Rofecoxib
4. Acetaminofen

Correct answer: 1. Morphine

Explanation: Morphine is contraindicated in patients with a head injury because by retaining CO2, it increases intracranial tension which will add to that caused by the head injury itself. Even therapeutic doses can cause marked respiratory depression in these patients. Vomiting, miosis, and altered mentation produced by morphine interfere with the assessment of progress on head injury cases.